Fracture of Hyoid bone, thyroid cartilage and cricoid cartilage along with extensive bruising of neck muscles suggests a diagnosis of:
1. Manual strangulation
2. Ligature strangulation
3. Hanging
4. Choking

Correct answer: 1. Manual strangulation

Explanation: Fracture of the Hyoid bone, thyroid cartilage along with extensive bruising of the neck muscles are seen both in manual strangulation and ligature strangulation. But fracture of the cricoid cartilage occurs almost exclusively in manual strangulation. Its caused due to the anteroposterior compression of it against the spine (eg., by the thumbs or the forearm of the assailant). Ref: The Essentials of Forensic Medicine and Toxicology By Dr K S Narayan Reddy, 27th Edition, Chapter 14, Pages 312-16; Parikh's Textbook of Medical Jurisprudence and Toxicology, 6th Edition, Page 3.53